Cocaine abuse is much similar to which abuse:
1. Cannabis
2. Nicotine
3. Heroin
4. Amphetamine

Correct answer: 4. Amphetamine

Explanation: Ans. Amphetamine